A young patient's blood investigations shows evidence of Burkitt's lymphoma. Which of the following agent is associated with Burkitt's lymphoma?
1. HTLV-1
2. HTLV-3
3. HPV
4. EBV

Correct answer: 4. EBV

Explanation: Epstein-Barr virus (EBV) is associated with Burkitt lymphoma, nasopharyngeal carcinoma, Hodgkin and non-Hodgkin lymphomas, and gastric carcinoma. EBV-associated posttransplant lymphoproliferative disorders are a complication for immunodeficient patients. Burkitt lymphoma is a tumor of the jaw in African children and young adults. It is speculated that EBV may be involved at an early stage in Burkitt lymphoma by immoalizing B cells. Ref: Brooks G.F., Carroll K.C., Butel J.S., Morse S.A., Mietzner T.A. (2013). Chapter 33. Herpesviruses. In G.F. Brooks, K.C. Carroll, J.S. Butel, S.A. Morse, T.A. Mietzner (Eds), Jawetz, Melnick, & Adelberg's Medical Microbiology, 26e.